Citric acid is applied to root surface:
1. To reduce caries
2. To reduce sensitivity
3. To facilitate collagen fibre adhesion on to root surface
4. None of the above

Correct answer: 3. To facilitate collagen fibre adhesion on to root surface